A man presents with history of hemetemesis of about 500ml of blood. On examination, spleen is palpable 5 cms below the left costal margin. The most likely diagnosis is -
1. Portal Hypertension
2. Gastric ulcer
3. Drug induced
4. Mallory Weiss Tear

Correct answer: 1. Portal Hypertension

Explanation: Davidson's principles and practice of medicine 22nd edition. *The clinical features results from portal venous congestion and collateral vessels formation .Splenomegaly is the cardinal finding .spleen is rarely enlarged more than 5 cm below the left costal margin in adults . # collateral vessal formation occurs in oesophagus and stomach causing hemetemesis.